A patient develops an infection of methicillin-resistant Staphylococcus aureus. Which of the following drug cannot be used to treat the infection:
1. Vancomycin.
2. Cotrimoxazole.
3. Cefaclor.
4. Ciprofloxacin.

Correct answer: 3. Cefaclor.

Explanation: Cefaclor is a second generation cephalosporin and is not active against MRSA.